Dead bone on an X-ray looks:
1. More radio-opaque
2. Radiolucent
3. Less radio-opaque
4. Not seen at all

Correct answer: 1. More radio-opaque

Explanation: In chronic osteomyelitis there is dead dense bone in center called sequestrum , which is more radio opaque.